All are true about Laryngomalacia except -a) Most common congenital anomaly of larynxb) Stridor disappear on supine positionc) Manifest many weeks after birth d) It needs no treatment in most of the cases
1. a
2. c
3. ac
4. bc

Correct answer: 4. bc